A recognised cause of stridor in newborn –
1. Cystic hygroma
2. A Vascular ring
3. Laryngomalacia
4. All are true

Correct answer: 4. All are true

Explanation: Stridor

Stridor refers to the physical finding of excessively noisy breathing and is generally due to airway obstruction.

Causes of Stridor in a child.
Infections

Croup (laryngotracheobronchitis)
Epiglottitis
Bacterial tracheitis
Retropharyngeal abscess

Congenital

Laryngomalacia
Vocal cord palsy
Subglottic stenosis
Vascular ring
Saccular cyst

Neoplasms

Subglottic hemangioma
Laryngeal papillomas
Cystic hygroma, when it occurs in larynx then it can cause respiratory tract obstruction - Nelson 18th/ep. 1773